If median nerve is injured at the wrist then loss of function of all of the following will take place except:
1. Lumbrical muscles to the Index finger.
2. Lumbrical muscles to the middle finger
3. Muscles of the thenar eminence
4. Adductor pollicis

Correct answer: 4. Adductor pollicis

Explanation: D i.e. Adductor pollicis